68-year-old Chandu is a diabetic and presented with black, foul smelling discharge from the nose. Examination revealed blackish discoloration of the inferior turbinates. The diagnosis is:
1. Mucormycosis
2. Aspergillosis
3. Infarct of inferior turbinate
4. Foreign body

Correct answer: 1. Mucormycosis

Explanation: (a) Mucormycosis(Ref. Cummings, 6th ed., 732)Diabetic patient (immunocompromised) with foul smelling black nasal discharge and black necrotic turbinates on examination is suggestive of mucormycosis. This is due to arterial and venous thrombosis due to direct fungal invasion causing local vascular insufficiency leading to gangrene.Invasive aspergillosis lead to local destruction but black discharge does not occur.Foreign body nose presents with foul smelling U/L nasal discharge.Infarct of inferior turbinate is no condition.